Phrygian cap in gallbladder refers to:
1. A septum (or fold) separates the fundus from the body of gallbladder
2. Agenesis of the gallbladder fundus
3. Oversized giant gallbladder
4. Duplication of the gallbladder

Correct answer: 1. A septum (or fold) separates the fundus from the body of gallbladder

Explanation: Phrygian cap is a clinically innocuous entity in which a partial or complete septum (or fold) separates the fundus from the body of the gallbladder. Reference: Harrisons Principles of Internal Medicine, 18th Edition, Page 2616